Pinpoint pupils are seen in haemorrhage of
1. Putamen
2. Pons
3. Thalamus
4. Cerebellum

Correct answer: 2. Pons

Explanation: In pontine haemorrhages, deep coma with quadriplegia often occurs over a few minutes. Typically, there is prominent decerebrate rigidity and "pinpoint" (1 mm) pupils that react to light. There is impairment of reflex horizontal eye movements evoked by head turning (doll's-head or oculocephalic maneuver) or by irrigation of the ears with ice waterHyperpnea, severe hypertension and hyperhidrosis are commonRef: Harrison 19e pg: 2583